Sense of gravity is detected by
1. Horizontal semicircular canal
2. Lateral semicircular canal
3. Superior semicircular canal
4. Utricle and saccule

Correct answer: 4. Utricle and saccule

Explanation: Utricle and saccule are stimulated by displacement of the otolithic membrane during the head tilts.They are concerned with acceleration and deceleration. (Ref: Diseases of EAR, NOSE and THROAT by PL Dhingra; 6th edition; page no.18)